Frontal lobe syndrome involves
1. Impaired recent memory
2. Emotional instability
3. Attention deficit
4. All of the above

Correct answer: 4. All of the above

Explanation: Frontal lobe syndrome : 

Euphoria 
Impaired recent memory
Flight of ideas
Attention deficit